Which one of the folloiwng hormonal level is decreased after Intracranial irradiation?
1. Prolactin
2. ACTH
3. Growth hormone
4. Gonadotropin

Correct answer: 3. Growth hormone

Explanation: (C) Growth hormone # Endocrine dysfunction frequently follows exposure of the hypothalamus or pituitary gland to therapeutic radiation. Growth hormone is the pituitary hormone most sensitive to radiation therapy, and thyroid- stimulating hormone is the least sensitive; ACTH, prolactin, and the gonadotropins have an intermediate sensitivity.